Uvula vesicae is formed by ?
1. anterior lobe of prostate
2. Posterior lobe of prostate
3. lateral lobe of prostate
4. median lobe of prostate

Correct answer: 4. median lobe of prostate

Explanation: A slight elevation on the trigone immediatly posterior to the urethral orifice produced by the median lobe of prostate of the prostate, is called uvula vesicae. Ref : B D Chaurasia's Human Anatomy , volume 2 , seventh edition , pg. no., 406.